A person comes to you for advice regarding alcohol intake. He consumes alcohol daily and want to know the safe limit for drinking as he wants to avoid liver damage. What would be the approximate safe limit of alcohol in this scenario?
1. 210 gm/week
2. 310 gm/week
3. 410 gm/week
4. 510 gm/week

Correct answer: 1. 210 gm/week

Explanation: 210 gm of alcohol for men and 140 gm of alcohol in women per week is considered safe limit for drinking, if liver damage is to be avoided. Also know: % of alcohol in different beverages Rum - 50 to 60% Whisky, gin, brandy - 40 to 45% Port, sherry - 20% Wine - 10 to 15% Beer - 4 to 8% Ref: Textbook of Forensic Medicine and Toxicology by Narayan Reddy, Edition 21, Page - 490